The following tests are used to check the efficiency of pasteurization of milk except
1. Phosphatase test
2. Methylene blue reduction test
3. Standard plate count
4. Coliform count

Correct answer: 2. Methylene blue reduction test

Explanation: • Methylene Blue Reduction Test' (MBRT): Is an indirect method for detection of microorganisms in milk – MBRT test is 'carried out on milk accepted for pasteurization'
• 'Cold Pasteurization': The use of ionizing radiation or other means (e.g. chemical) to kill bacteria in food.
• 'Electronic pasteurization': Food irradiation